Milk teeth - Total no. in human being __________
1. 20
2. 28
3. 32
4. 24

Correct answer: 1. 20

Explanation: Deciduous teeth, commonly known as milk teeth, baby teeth, temporary teeth, and primary teeth, are the first set of teeth in the growth development of humans and other diphyodont mammals. They develop during the embryonic stage of development and erupt--that is, they become visible in the mouth--during infancy. they are 20 in number . Babies' teeth begin to develop before they are born, but in most cases don't come through until they're between 6 and 12 months old. Most children have a full set of 20 milk or baby teethby the time they're 3 years old. When they reach 5 or 6, these teeth will start to fall out, making way for adult teeth. Reference: GHAI Essential pediatrics, 8th